Drug causing fixed drug eruption ?
1. Sulfonamide
2. Erythromycin
3. Aminoglycoside
4. None

Correct answer: 1. Sulfonamide

Explanation: Ans. is `a' i.e., Sulfonamide Drugs causing fixed drug eruption Paracetamol (Phenacetin) Sulfonamides NSAIDs Aspirin Barbiturates Dapsone Tetracyclines Phenylbutazone